Bohn's nodules are
1. Cystic swellings in neonates
2. Cysts associated with soft palate
3. Cysts of gingiva in growing children
4. Warts on the tongue

Correct answer: 1. Cystic swellings in neonates